'Pelkan spur' is a radiological feature of which of the following?
1. Rickets
2. Scurvy
3. Hemophilia
4. All

Correct answer: 2. Scurvy

Explanation: The radiological features of scurvy 1) Spurs (Pelkan Spur) = Metaphyseal spurs projecting at right angles to axis of shaft 2) Subperiosteal hemorrhages = Diaphyseal Subperiostealhematoma with calcification of elevated periosteum is the sure sign of healing (woody-leg) 3) Cortical thinning ('pencil-thin" cortex) 4) Corner sign of Parke = Subepiphyseal infarction or comminution causing mushrooming or cupping of epiphysis 5) Osteoporosis = characteristically "ground-glass' osteoporosis 6) Rarefaction zone of Trummerfield = Metaphyseal radiolucent zone on shaft side 7) White line of Frankel Metaphyseal zone of provisionallpreparatory calcification also seen in lead or phosphorus or bismuth poisoning and in healing rickets 8) Wimberger's sign Sclerotic ring seen around the low density osteopenic epiphysis